Cholestasis may lead to the following complications except -
1. Intrauterine fetal death
2. Meconium stained liquor
3. Preterm labour
4. Neonatal jaundice

Correct answer: 4. Neonatal jaundice